Persistent feeling of guilt is seen in
1. OCD
2. Depression
3. Mania
4. Schizophrenia

Correct answer: 2. Depression

Explanation: increased guilt is a carecterstic of depression DIAGNOSTIC CRITERIA FOR DEPRESSION Depressed mood most of the day Anhedonia=== loss of interest in previous pleasurable activities Fatiguability Dec sleep Dec appetite Hopelessness Suicidal ideas Ideas of guilt Reference: Kaplon and sadock, 11 th edition, synopsis of psychiatry, 11 th edition, pg no. 347